Which of the following colonic polyps is not premalignant -
1. Juvenile polyps
2. Hamartomatous polyps associated with Peutz- Jegher's syndrome
3. Villous adenomas
4. Tubular adenomas

Correct answer: 1. Juvenile polyps

Explanation: Ans. is 'a' i.e. Juvenile polyps Hamartomatous polyps (juvenile polyp is also a hamartomatous polyp) by definition do not have malignant potential. They are characterized by overgrowth of normal components of colon, such as epithelium and connective tissue.These hamartomatous polyps are seen in following syndromes - Familial juvenile polyposis, Cronkhite - Canada and Peutz-Jeghers syndromes.Unlike solitary juvenile (hamartomatous) polyps, polyps associated with Familial juvenile polyposis and Peutz Jeghers syndrome may degenerate into adenomas and eventually into carcinomas. There is increased risk of gastrointestinal as well as extragastrointestinal malignancies in the syndromes.-Manigots 11/e chapter 23 for more detail on Familial polyposis and other related diseases refer to May 10 of "Surgery for PGMEE"